Hamartoma is ?
1. Malignant tumor
2. Metastatic tissue
3. Development malformation
4. Hemorrhage in vessel

Correct answer: 3. Development malformation

Explanation: Ans. is 'c' i.e., Development malformation Hamartoma A hamartoma is a benign (noncancerous) tumor-like growth consisting of a disorganized mixture of cells and tissues normally found in the area of body where the growth occurs. For example, hamartoma of lung contains cartilage, blood vessels, bronchial type of structures and lymphoid tissues. It is a focal development malformation that resembles a neoplasm in the tissue of origin. But, it is not a neoplasm because it grows at the same rate as the surrounding tissues unlike neoplasm whose growth exceeds the growth of surrounding tissue. Choristoma Choristoma is the ectopic rest of normal tissue, i .e. , the normal tissue is present at a different anatomical site of the body. For example, presence of pancreatic tissue in mucosa of small intestine. Normally arranged tissue at a different anatomical site (ectopic site) Choristoma. Abnormally arranged tissue present at normal site -Hamartoma